All of the following are derivatives of Urogenital Sinus except
1. Bladder
2. Ejaculatory duct
3. Prostatic uretha
4. Membranous uretha

Correct answer: 2. Ejaculatory duct